Deep branch of ulnar nerve supplies?
1. Adductor Pollicis,1st lumbrical
2. Flexor digitorum superficialis, Palmer brevis
3. 1st lumbrical, 3rd lumbrical
4. 3rd lumbrical, Adductor Pollicis

Correct answer: 4. 3rd lumbrical, Adductor Pollicis

Explanation: "Flexor digitorum superficialis is supplied by median nerve" "The 1st and 2nd lumbricals are supplied by median nerve" Ulnar nerve in hand is divided into deep and superficial terminal branches. Deep branch give further muscular branches to muscle of hypothenar eminences( abductor digiti minimi, flexor digiti minimi and opponens digiti minimi), medial two lumbrical (3rd and 4th), 8th interossei, adductor pollicis and occasionally deep head of the flexor pollicis brevis. Articular branch from deep terminal branch supplies wrist joint.Superficial terminal branch gives muscular branch to palmaris brevis and cutaneous branches which supplies medial one and half fingers with nail beds.